Cereal are deficient in which amino acid:
1. Leucine
2. Lysine
3. Phenylalanine
4. Tryptophan

Correct answer: 2. Lysine

Explanation: Cereal are deficient in lysine and threonine Pulses are deficient in methionine